Rate limiting enzyme of Haem synthesis in erythroid tissue is:
1. PBG deaminase
2. Uroporphyrin II cosynthetase
3. ALA synthase I
4. ALA synthase II

Correct answer: 4. ALA synthase II

Explanation: RLE in Haem Synthesis is - ALA Synthase ALA Synthase I : Expressed throughout the body. (Rate limiting step in liver) ALA Synthase II: Expressed in erythroid tissues